Tabes dorsalis is seen in:-
1. Primary syphilis
2. Secondary syphilis
3. Tertiary syphilis
4. Latent syphilis

Correct answer: 3. Tertiary syphilis

Explanation: Tabes dorsalis/syphilitic myelopathy- slow degeneration of the nerves primarily in the dorsal columns of the spinal cord These nerves- maintain a person's sense of position, vibration, and discriminative touch. Tabes dorsalis is caused by demyelination caused by advanced syphilis infection (tertiary syphilis), when the primary infection by Treponema pallidum is left untreated for an extended period of time